The milk of which of the following contains the least amount of calcium ?
1. Human
2. Cow
3. Buffalo
4. Goat

Correct answer: 1. Human

Explanation: Ans. is 'a' i.e., Human Nutritive value of milks compared (value per 100 grams) Buffalo Cow Goat Human Fat (g) 6.5 4.1 4.5 3.4 Protein (g) 4.3 3.2 3.3 1.1 Lactose (g) 5.1 4.4 4.6 7.4 Calcium (mg) 210 120 170 28 Iron (mg) 02 0.2 0.3 Vitamin C (mg) 1 2 1 3 Minerals (g) 0.8 0.8 0.8 0.1 Water (g) 81.0 87 86.8 88 Energy (kcal) 117 67 72 65